Broca's area situated in:
1. Inferior frontal gyrus
2. Superior temporal gyrus
3. Angular gyrus
4. None of the above

Correct answer: 1. Inferior frontal gyrus

Explanation: Ans. a. Inferior frontal gyrusMotor speech area of Broca (areas 44 and 45 of Brodmann)The motor speech area of Broca is located in the pars triangularis (area 45) and pars opercularis (area 44) of inferior frontal gyrus of frontal lobe of left hemisphere (dominant hemisphere) in most of the individuals, and the persons are right handed.However, in 30% cases it is present in the right hemisphere and persons are left handed.Brocas area is responsible for the production of expressive speech/vocalization.It brings about the formation of words by its connections with the adjacent primary motor area, which in turn appropriately stimulate the muscles of the larynx, mouth, tongue, soft palate, and the respiratory muscles.It connected to Wernicke speech area by the arcuate fasciculus.Broca AphasiaResults from lesions in Broca speech area.Also called motor, expressive, nonfluent, or anterior aphasia.Causes patients to speak slowly (nonfluent) and with effort; however, they have good comprehension of spoken and written language.Frequently accompanied by contralateral weakness of the lower face and arm and a sympathetic apraxia of the left hand (the inability to write with the nonparalyzed hand).